The eye condition for which the World bank assistance was provided to the National Programme for Control of Blindness:
1. Onchocerciaisis
2. Cataract
3. Trachoma
4. Vitamin A deficiency

Correct answer: 2. Cataract

Explanation: Ans. B i.e. Cataract